Which bone in foot is not attached by any muscle?
1. Talus
2. Calcaneum
3. Metatarsals
4. Fibula

Correct answer: 1. Talus

Explanation: Ans A TalusRef: Snell s Clinical Anatomy, pg. 354Ref states: "Numerous important ligaments are attached to talus, but no muscles are attached to this bone"Extra MileSUPERFICIAL GROUP OF MUSCLES IN THE POSTERIOR COMPARTMENT OF LEG (SPINAL SEGMENTS IN BOLD ARE THE MAJOR SEGMENTS INNERVATING THE MUSCLE)MuscleOriginInsertionInnervationFunctionGastrocnemiusMedial head-posterior surface of distal femur just superior to medial condyle; lateral head-upper posterolateral surface of lateral femoral condyleVia calcaneal tendon, to posterior surface of calcaneusTibial nerve Plantar flexes the foot and the kneePlantarisInferior part of lateral supracondylar line of femur and oblique popliteal ligament of kneeVia calcaneal tendon, to posterior surface of calcaneusTibial nerve Plantar flexes the foot and the kneeSoleusSoleal line and medial border of tibia; posterior aspect of fibular head and adjacent surfaces of neck and proximal shaft; tendinous arch between tibial and fibular attachmentsVia calcaneal tendon, to posterior surface of calcaneusTibial nerve Plantar flexes the foot